Retinal detachment is not seen in -
1. High myopia
2. Aphakia
3. Choroiditis
4. Hypermetropia

Correct answer: 4. Hypermetropia

Explanation: Retinal detachment is seen in High myopia Aphakia Chorioidities Ref AK khurana 6/e p 299